Alfred Grotjahn is famous for
1. Epidemiology
2. Biostatistics
3. Vaccination
4. Social hygiene

Correct answer: 4. Social hygiene

Explanation: In 1911, the concept of social medicine was revived by Alfred Grotjahn (1869-1931) of Berlin who stressed the importance of social factors in the aetiology of disease, which he called "social pathology". Others called it geographical pathology and population pathology. Ref : Park 23rd edition Pgno : 8